Which of the following drug can inhibit steroidogenesis?
1. Etomidate
2. Thiopentone
3. Propofol
4. Ketamine

Correct answer: 1. Etomidate

Explanation: Etomidate suppresses the production of cortisol and other steroids by inhibiting adrenal enzymes. Long-term infusion of Etomidate can inhibit adrenal enzyme but induction doses of Etomidate can cause slight reduction in cortisol level. So Etomidate is not recommended for long-term infusion due to inhibition of steroidogenesis.